All can cause recurrent pulmonary infection except:
1. VSD
2. Recurrent LVF
3. TOF
4. ASD

Correct answer: 3. TOF

Explanation: Answer is C (TOF) ASD, L VF and VSD are all associated with pulmonary congestion and hence predispose to pulmonary infections. TOF is associated with reduced pulmonary blood flow (oligenic lung fields) due to right ventricular outflow obstruction and hence does not predispose to recurrent pulmonary infections.